Commonest salivary gland to get stones ?
1. Parotid
2. Submandibular
3. Minor salivary gland
4. Sublingual

Correct answer: 2. Submandibular

Explanation: Ans is 'b' ie. Submandibular Gland "Eighty percent of all salivary stones occur in the submandibular glands because their secretions are highly viscous." - Bailey and Love 25/e 23/e wrote-"Eighty percent of all salivary stones occur in the submandibular gland, 10% occur in parotid, 7% in the sublingual and the remainder occurs in minor salivary glands" Eighty percent of submandibular stones are radio-opaque and can be identified on plain radiographs. In contrast parotid stones are usually radiolucent and rarely visible on plain radiography.